Gibbs-Donnan effect is seen on the distribution of:
1. Diffusible ions
2. Diffusible + Non-diffusible ions
3. Non-diffusible ions
4. Only proteins

Correct answer: 1. Diffusible ions

Explanation: (A) Diffusible ions # When there is an ion on one side of a membrane that cannot diffuse through the membrane, the distribution of other ions to which the membrane is permeable is affected in a predictable way. For example, the negative charge of a nondiffusible anion hinders diffusion of the diffusible cations and favors diffusion of the diffusible anions. Consider the following situation, in which the membrane (m) between compartments X and Y is impermeable to Prot out freely permeable to K+ and Cl\ Assume that the concentrations of the anions and of the cations on the two sides are initially equal. Cl' diffuses down its concentration gradient from Y to X, and K+ moves with the negatively charged Cl", maintaining electroneutrality on side Y. Therefore, at equilibrium